Following poisoning retards putrefaction:
1. Aluminium phosphide
2. Lead
3. Arsenic
4. Copper

Correct answer: 3. Arsenic

Explanation: Ans. Arsenic